Colipase is:
1. Is secreted by Oxyntic cells
2. Is secreted in the active form
3. Helps gastric lipase
4. Encoded by the gene CLPS

Correct answer: 4. Encoded by the gene CLPS

Explanation: Colipase is a small protein cofactor needed by pancreatic lipase for efficient dietary lipid hydrolyisis. It is secreted as an inactive form procolipase by the pancreas and in the intestinal it is converted to the active form by trypsin. Efficient absorption of dietary fats is dependent on the action of pancreatic triglyceride lipase. Colipase binds to the C-terminal, non-catalytic domain of lipase, thereby stabilising as active conformation and considerably increasing the overall hydrophobic binding site. It is encoded by the gene CLPS. Ref: Ganong's Review of Human Physiology, 21st Edition, Page 476